Champagne bubble test is used for
1. NaOCl
2. Chlorhexidine
3. EDTA
4. None of the above

Correct answer: 1. NaOCl